A 23 year old child presented with leucocorea in the right time since 2 months. on examination, a total retinal detachment was present in the same eye. Ultrasound b-scan revealed a heterogeneous subretinal mass with calcification associated with retinal detachment the most likely clinical diagnosis
1. Coats disease
2. Retinoblastoma
3. Toxacariasis
4. Retinal tuberculoma

Correct answer: 2. Retinoblastoma

Explanation: It indicates an epileptic Retinoblastoma where there is exudative retinal detachment Refer khurana 6/e 303